'Sensitivity' of a test is -
1. True negative/ false positive + true negative
2. True positive/ True positive + false negative
3. False positive/ True positive + True negative
4. False negative/ True positive + false negative

Correct answer: 2. True positive/ True positive + false negative

Explanation: It has been defined as the ability of the test to identify correctly all those who have the disease, true positive. A 90 percent sensitivity means that 90 percent of the diseased screened by the test will give a "true positive " result and the remaining 10 percent a "false negative " result. Ref: 25th edition, Park's Textbook of Preventive and Social Medicine, Page no. 152